Extra cervical rib usually compresses which part of brachial plexus -
1. Lateral cord
2. Upper trunk
3. Middle trunk
4. Lower trunk

Correct answer: 4. Lower trunk

Explanation: THORACIC OUTLET SYNDROME Neurological and vascular symptoms and signs in the upper limbs may be produced by compression of the LOWER TRUNK of the brachial plexus (C8 and T1) and subclavian vessels between the clavicle and the first rib. The subclavian artery and lower brachial trunk pass through a triangle based on the first rib and bordered by scalenus anterior and medius. These neurovascular structures are made taut when the shoulders are braced back and the arms held tightly to the sides; an extra rib (or its fibrous equivalent extending from a large costal process), or an anomalous scalene muscle, exaggerates this effect by forcing the vessel and nerve upwards. REF:Apley's system of orthopaedics- 9th edn - pg no 292.